All are true about losartan, EXCEPT :
1. Angiotensin II antagonist
2. Causes hyperuricemia
3. Does not cause cough
4. Long acting metabolites

Correct answer: 2. Causes hyperuricemia

Explanation: Ans. is 'b' causes hyperuricemia [Ref KDT 5th/e p 453 (page 208, 4th/e)lLosartan is a mild uricosuric agent, i.e causes hypouricemia Losartan is a competitive antagonist* of angiotensin II* (10000 times more selective for AT1 than AT2).It blocks all overt actions of AILIn liver it gets converted to long acting metabolite (E 3174)* which is 10-30 times more potent* non competitive antagonist of AT1Plasma t 1/2 of Losartan - 2hr E3174 - 6-9 hrs.It has several advantages over ACE inhibitorsIt does not cause cough*It does not cause dysgeusia* (altered taste sensation)It does not cause first does hypotension*Similarities with ACE inhibitorHyperkalemia * and hypotension *Teratogenic